In a neuron, graded electrogenesis occurs at
1. Soma - dendritic zone
2. Initial segment
3. Axon
4. Nerve ending

Correct answer: 1. Soma - dendritic zone

Explanation: Graded potentials are associated with depolarization of neuron up to threshold level,increased number of graded potential produce action potential Ref:Guyton and Hall textbook of medical physiology 12th edition,page number:675,676,677